Males are more commonly affected than females in which of the following genetic disorders?
1. Autosomal recessive disorder
2. Autosomal dominant disorder
3. X-linked recessive disorder
4. X-linked dominant disorder

Correct answer: 3. X-linked recessive disorder

Explanation: Analysis ofX-linked recessive disorders Males have an X and Y chromosome. No corresponding locus for a mutant allele of the X chromosome on the Y chromosome. Mutant recessive gene on the X chromosome expresses itself in a male child because it is not suppressed by a normal allele. Whereas in the female, the presence of a normal allele on other X-chromosome prevents the expression of the disease. Females only act as carriers.